Most common type of inherited disease of hypercoagulobility is?
1. Protein C deficiency
2. Leiden mutation
3. DIC
4. Antithrombin III deficiency

Correct answer: 2. Leiden mutation

Explanation: Ans. is 'b' i.e., Leiden mutation * Of the inherited causes of hypercoagulability, mutation in factor V gene is the most common.* Factor V mutations (called the leiden mutation) causes subsitution of arginine residue (at position 506) by glutamine.* This mutation makes factor V resistant to cleavage by protein 'C* (normally protein 'C is one of the factor that regulates coagulation by inactivating factor V & VIII).* This results in unchecked coagulation.